Antimetabolite drug used for the treatment of gout?
1. Allopurinol
2. Zidovudine
3. Azathioprine
4. None of the above

Correct answer: 1. Allopurinol

Explanation: Synthetic nucleotide used in the treatment of Gout-Alloourinol.